Which among the following is a subcutaneous fungal agent?
1. Cryptococcus neoformans
2. Histoplasma capsulatum
3. Sporothrix schenckii
4. Talaromyces marneffei

Correct answer: 3. Sporothrix schenckii

Explanation: Ans. (c) Sporothrix schenckiiRef: Ananthanarayan and Paniker 's Textbook of Microbiology - 10th ed - Page 593Classification of fungi based on pathogenesisSuperficial mycosesDermatophytosis, Candidiasis, Tinea, Piedra, Pityriasis versicolorCutaneous mycosesCandidiasisSubcutaneous mycosesMycotic mycetomaChromoblastomycosisRhinosporidiosisSporotrichosisDeep or systemic or visceral mycosesBlastomycosisCryptococcosisParacoccidioidomycosisCoccidioidomycosisHistoplasmosisCandidiasisOpportunistic mycosesMucor, Aspergillus, Candida, PenicilliumMycotoxicosesAspergillus, Claviceps purpura